Disease which permanently alters the finger prints is:
1. Leprosy
2. Tuberculosis
3. Diabetes
4. Dermatitis

Correct answer: 1. Leprosy

Explanation: A i.e. Leprosy